Drug of choice for pneumocystis carinii is?
1. Doxycyline
2. Cotrimoxazole
3. Tetracyclines
4. Dapsone

Correct answer: 2. Cotrimoxazole

Explanation: Question repeated